The following is not seen in undescended testis:
1. Hydrocele
2. Hernia
3. Teratoma
4. Seminoma

Correct answer: 1. Hydrocele

Explanation: Ans. (a) HydroceleRef: Bailey 26th Edition, Page 1378* Around 90 % of boys with an undescended testis have a patent processus vaginalis (Hernia)* Malignancy associated with undescended testis are Seminoma and Teratoma Seminoma is the most common cancer associated.